Which among the following is not an antipsychotic ?
1. Risperidone
2. Haloperidol
3. Fluoxetine
4. Clozapine

Correct answer: 3. Fluoxetine